Periodontal endoscopes work on the principle of:
1. Fiberoptics
2. Magnetorestrictive
3. Piezoelectric
4. All of the above

Correct answer: 1. Fiberoptics